The Vitamin which has inhibitory effect on wound healing is -
1. Vitamin -A
2. Vitamin - E
3. Vitamin -C
4. Vitamin B-complex

Correct answer: 2. Vitamin - E

Explanation: Systemic vitamin E and glucocorticoids inhibit the inflammatory response and collagen synthesis, thereby possibly impeding the healing process. REF: Harrison book of internal medicine 21ST EDITION